DIC is common in which AML-
1. Nonocytic (M5)
2. Promyelo cytic (M3)
3. Erythrocytic (M6)
4. Megakaryocytic (M7)

Correct answer: 2. Promyelo cytic (M3)

Explanation: Acute promyelocytic leukemia (AML-M3) may be associated with widespread bleeding due to DIC. Ref: RAM DAS NAYAK 2nd Ed. Pg no.297